Amount of radioactivity absorbed by body is measured by:
1. Curie
2. Roentgen
3. Rad
4. Rem

Correct answer: 3. Rad

Explanation: Ans. C: Rad